M/C gene nutation in fibroid.
1. MED-12
2. COL 4 A5-A6
3. FH
4. None of above

Correct answer: 1. MED-12

Explanation: Ans. is a, i.e. MED-12(Ref: Williams Gynae 3rd/ed, p203)The 2 M/C gene mutations in fibroid are* MED-12 mutation* HMGA2 gene mutation